Shiny Corner Sign is seen in
1. Psoriatic Arthritis
2. Ankylosing Spondylitis
3. Rheumatoid Arthritis
4. Gouty Arthritis

Correct answer: 2. Ankylosing Spondylitis

Explanation: *Shiny corner sign is a finding in ankylosing spondylitis, representing reactive sclerosis at the superior and inferior endplates of the vertebral bodies. Eventually, the vertebral bodies become squared in Ankylosing Spondylitis. *Note- Corner Sign Of Park is metaphyseal Clefts Seen In Scurvy